Punishment for murder by life convict is under
1. 299 IPC
2. 302 IPC
3. 303 IPC
4. 304 IPC

Correct answer: 3. 303 IPC

Explanation: 303 IPC Punishment for murder by life-convict: Whoever, being under sentence of imprisonment for life, commits murder, shall be punished with death Ref -